All are seen in malignant hypertension except
1. Fibrinoid necrosis
2. Hyaline arteriolosclerosis
3. Necrotizing glomerulonephritis
4. Hyperplastic arteriolosclerosis

Correct answer: 2. Hyaline arteriolosclerosis

Explanation: Hyaline arteriolosclerosis: It is seen in the arterioles in patients with benign hypertension. * Microscopy: It shows thickening of the wall due to homogeneous, pink hyaline material and narrowing of the lumen (Fig. 9.7A). * Mechanism: Chronic hemodynamic stress produced by hypertension - produces leakage of protein into the vessel wall - increased synthesis ECM by smooth muscle cell - hyalinization of the wall of arteriole. * Consequence: The arteriolar narrowing - impaired blood supply to kidney - produces ischemia and glomerular scarring. The kidney changes in benign hypertension are called benign nephrosclerosis. Manual of pathology of ramadas nayak Edition 1 Pageno.287